All are true about Peyronie's disease except -
1. Self limiting
2. Medical treatment is effective
3. Association with Dupytren's contracture
4. Calcified plaques

Correct answer: 2. Medical treatment is effective